Melanocytes are located in which layer?
1. Stratum malphigii
2. Stratum basale
3. Stratum corneum
4. Stratum granulosum

Correct answer: 2. Stratum basale

Explanation: Ans. (b) Stratum basaleRef : Bolognia 2/e, ch:64